Wolff's law states that -
1. If a bone is continuously subjected to a particular stress it will adapt to become stronger to resist that loading
2. Only Diaphysis allows longitudinal growth in childhood
3. Any infection not showing periosteal reaction within 1 week of symptoms can be ruled out to be osteomyelitis
4. Angular deformities will progress till the closure of physis

Correct answer: 1. If a bone is continuously subjected to a particular stress it will adapt to become stronger to resist that loading

Explanation: Answer- A. If a bone is continuously subjected to a particular stress it will adapt to become stronger to resist that loadingWolffs law states that bone in a healthy person or animal will adapt to the loads under which it is placed.If loading on a particular bone increases, the bone will remodel itself over time to become stronger to resist that sort of loading.